The immunosuppressant action of cyclosporine appears to be due to:
1. Activation of NK cells
2. Blockade of tissue responses to inflammatory mediators
3. Inhibition of gene transcription of interleukins
4. Interference with antigen recognition

Correct answer: 3. Inhibition of gene transcription of interleukins

Explanation: (Ref: KDT 6/e p838, 839,840) Cyclosporine and tacrolimus acts by inhibiting calcineurin, which is involved in the activation of NFAT. Final result of this process is increased transcription of IL-2 gene. Sirolimus does not inhibit the transcription of IL-2 but interferes with its action. It inhibits the enzyme tyrosine kinase, known as mTOR (which is activated byIL-2)